The following test is an example of heterophile antigen based test-
1. Rose-wallers test
2. Widal's test
3. Brucella agglutination test
4. Paul Bunnel's along with HLA Class-I stimulate

Correct answer: 4. Paul Bunnel's along with HLA Class-I stimulate

Explanation: In infectious mononucleosis, the patient exhibits- Atypical lymphocytes in the circulating blood. - Antibodies to the EB Virus. - Increased heterophile antibody titre. The normal titre of agglutinins and hemolysins in human blood against sheep red blood cells does not exceed 1:8, but in infectious mononucleosis the titre may rise to 1:4096. This is referred to as positive Paul Bunnel test and is both characteristic and pathognomic of the disease.